Megaloblastic anemia may be caused by all of the following except :
1. Phenytoin
2. Methotrexate
3. Pyrimethamine
4. Amoxycilline

Correct answer: 4. Amoxycilline

Explanation: Answer is D (Amoxycilline) All options other than Amoxycilline are mentioned as causes lior megaloblastic anemia. Megaloblastic Anemia is caused by : 1. Phenytoin Q 5. Folate antagonists : 2. Primidone Q (inhibiters of dehydrofolate reductase) - Harrison 14th / 653 3. Phenobarbitone Q - Methotrexate Q - Pyrimethamine deg 4. Nitrous oxide - Pentamidine Q - Triamterine Q Triamethoprim deg - Cotrimaxazole deg Also, Drugs that inhibit DNA synthesis may cause Megaloblastic Anemia - Harrison 14th/653 - Purine Antagonist : 6-Mercaptopurine, Azathioprine Q - PN riinicline antagonist : 5FU, cystosine arabinoseQ - Others : Procarbazine, hydroxyurea, acyclovir, zidovudine. Q